What is known as 'poor man's meat':
1. Milk
2. Pulses
3. Fish
4. Egg

Correct answer: 2. Pulses

Explanation: Ans. B i.e. Pulses